Chinese letter configuration is seen in ?
1. Cl tetani
2. Cl perfringens
3. Strept salivarius
4. C diphtheriae

Correct answer: 4. C diphtheriae

Explanation: Ans. is 'd' i.e. C diphtheriae C. diphtheriae is gram positive, non motile, nonsporing, noncapsulated. Babes Ernest or volutin granules Also known as metachromatic granules or polar bodies. Composed of polymetaphosphate. Usually stained with Loeffler's methylene blue. Special stains for demonstration are Albert's, Neisser 's and Ponder 's.